Commonest complication of Pseudocyst of the pancreas is
1. Commonest into peritoneum
2. Rupture into colon
3. Hemorrhage
4. Infection

Correct answer: 4. Infection

Explanation: .Complications of pseudocyst--* Rupture--3% - into bowel or peritoneum * Infection, commonest--20% * Bleeding from the splenic vessels--7% * Cholangitis * Duodenal obstruction * Portal/splenic vein thrombosis and segmental portal hypertension * Cholestasis due to CBD block ref:SRB'S manual of surgery,ed 3,pg no 623